All the following are branches of Facial nerve below Stylomastoid foramen except
1. Posterior Auricular Nerve
2. Chorda tympani Nerve
3. Nerve to posterior belly of Digastric
4. Nerve to Stylohyoid

Correct answer: 2. Chorda tympani Nerve

Explanation: Facial Nerve/Cranial Nerve VIIIt is called facial nerve as this nerve supplies all the muscles of facial expression developed from 2nd pharyngeal/branchial archThe facial nerve leaves the skull by passing through the stylomastoid foramenBranches:A. Within the facial canal: (1) Greater_petrosal nerve (2) the nerve to the stapedius; and (3) the chorda tympani. B. At its exit from the stylomastoid foramen: (1) Posterior auricular; (2) digastric; and (3) stylohyoid.C. Terminal branches within the parotid gland: (1) Temporal; (2) zygomatic; (3) buccal; (4) marginal mandibular; and (5) cervical.D. Communicating branches with adjacent cranial and spinal nerves.Reference: Chaurasia Head and Neck; 6th edition; Appendix 1